Koebner's phenomenon is characteristic of
1. Psoriasis
2. Pemphigus vulgaris
3. Pityriasis rosea
4. Lupus vulgaris

Correct answer: 1. Psoriasis

Explanation: A i.e. Psoriasis